Guanidine group is present in
1. Histidine
2. Proline
3. Tryptophan
4. Arginine

Correct answer: 4. Arginine

Explanation: Amino acid  
Special group








Histidine


Imidazole




Proline


Imino group / Pyrrolidine group




Tryptophan


Indole




ariginine


Guanidine group




Phenylalanine


Benzene ring




Tyrosine


Phenol.